Triple arthrodesis involves-
1. Calcaneocuboid, talonavicular and talocalcaneal
2. Tibiotalar, calcaneocuboid and talonavicular
3. Ankle joint, calcaneocuboid and talonavicular
4. None of the above

Correct answer: 1. Calcaneocuboid, talonavicular and talocalcaneal

Explanation: Joints fused in triple arthrodesis are :- i) Subtalar (tolocakaneal) joint, ii) Calcaneocuboid joint, iii) Tolonavicular joint